Which of the following is used as epidural anaesthetic agent commonly?
1. Chloroprocaine
2. Lidocaine
3. Mepivacaine
4. All of the above

Correct answer: 4. All of the above

Explanation: Commonly used short- to intermediate-acting agents for epidural anesthesia include, Chloroprocaine Lidocaine Mepivacaine Longer acting agents include, Bupivacaine Levobupivacaine Ropivacaine Ref: Butterworth IV J.F., Butterworth IV J.F., Mackey D.C., Wasnick J.D., Mackey D.C., Wasnick J.D. (2013). Chapter 45. Spinal, Epidural, & Caudal Blocks. In J.F. Butterworth IV, J.F. Butterworth IV, D.C. Mackey, J.D. Wasnick, D.C. Mackey, J.D. Wasnick (Eds), Morgan & Mikhail's Clinical Anesthesiology, 5e.